USG finding in chronic renal disease may be:
1. Enlarged kidney
2. Noral kidney
3. Shrunken kidney
4. All of the above

Correct answer: 4. All of the above

Explanation: Ans. D: All of the above Kidneys are shrunken in size in chronic kidney disease, although they may be normal or even large in size in cases caused by adult polycystic kidney disease, diabetic nephropathy, and amyloidosis. Ultrasound may also be used to diagnose the presence of urinary obstruction, kidney stones and also to assess the blood flow into the kidneys.